Soap bubble appearance at lower end of radius, the treatment of choice is:
1. Local excision
2. Excision and bone grafting
3. Amputation
4. Radiotherapy

Correct answer: 2. Excision and bone grafting

Explanation: Treatment for GCT at commoner sites is as given in Table Site Treatment of choice Lower end of femur Excision with Turn-o-Plasty Upper end of tibia Excision with Turn-o-Plasty Lower end of radius Excision with fibular grafting Lower end of ulna Excision Upper end of fibula Excision